Lymphatic drainage of thyroid gland is mainly -
1. Sublingual nodes
2. Submandibular nodes
3. Deep cervical nodes
4. Submental nodes

Correct answer: 3. Deep cervical nodes

Explanation: Ans. is 'c' i.e., Deep cervical nodes Lymphatic drainage of thyroido Lymph from the upper part of the gland reaches the upper deep cervical lymph nodes either directly or through the prelaryngeal nodes.o Lymph from the lower part of the gland drains to the lower deep cervical nodes directly, and also through the pretracheal and paratracheal nodes.